Inherited Metabolic Neurological Syndrome associated with acanthocytosis is:
1. Abetalipoprotenemia
2. Wolman Syndrome
3. Mc Leod Syndrome
4. All of the above

Correct answer: 4. All of the above

Explanation: Answer is D (All of the above): Several neurological Syndromes are associated with abnormal erythrocytes called acanthocytes characterized by spiny projections from their cell surface. (Acantho' is derived from a Greek word meaning 'thorns). The most important of these are Abetalipoproteinemia ((Bassen-Kornzweig Disease), Choreo-acanthocytosis (Levine-Critchley Syndrome; Neuroacanthocytosis) and McLeod Syndrome. Neurological Syndromes with Acanthocytosis Abetalipoproteinemia ((Bassen-Kornzweig Disease) Choreo-acanthocytosis (Levine-Critchley Syndrome; Neuroacanthocytosis) McLeod Syndrome Wolman Syndrome (Neurological involvement is generally mild)